In karyotyping chromosomes are visualized through light microscope with resolution of
1. 5 Kb
2. 500 Kb
3. 5 Mb
4. 50 Mb

Correct answer: 3. 5 Mb

Explanation: Using Karyotypes to Diagnose Genetic Disorders. Using Karyotypes to Diagnose Genetic Disorders. A regular human cell has 46 chromosomes: 44 autosomes, which come in pairs, and 2 sex chromosomes, which specify gender (XX for female and XY for male). The pairs of autosomes are called "homologous chromosomes Ref-Harpers illustrated biochemistry 30/e p582